A malocclusion is characterized by protrusion of maxilla, labioversion of maxillary incisors deep overbite and overjet. These are typical characteristic of which malocclusion?
1. Class I
2. Class II Div 1
3. Class II Div 2
4. Class III

Correct answer: 2. Class II Div 1

Explanation: Class II (also known as disto-occlusion) :
Dental relationship, in which the mandibular dental arch is posterior to the maxillary dental arch in one or both lateral segments as determined by the relationship of the permanent first molars.
Mandibular 1st molar is distal to the maxillary 1st molar.
Further subdivided into 2 divisions:
Division I : Bilateral distal retrusion with a narrow maxillary arch and protruding maxillary incisors, increased overjet.
Division II : Bilateral distal retrusion with a normal or square-shaped maxillary arch, retruded maxillary central incisors, labially malposed maxillary lateral incisors, an excessive overbite (deep bite).
Subdivision : Unilateral, right or left, distal retrusive position of the mandible.
Ref:TEXTBOOK OF ORTHODONTICS Gurkeerat singh Ed 2nd P 55